Whch of the following us used to compare two data sets taken on two different scales of measurement?
1. Coefficient of variation
2. Standard deviation
3. Standard error
4. Variance

Correct answer: 1. Coefficient of variation